Dr. J. M. Eager reported the occurrence  of  brownish  colored  stains among majority of the residents in Naples which was termed as-
1. Denti di chiaie
2. Mottled enamel
3. Fluorosis stain
4. Colorado stain

Correct answer: 1. Denti di chiaie

Explanation: In  1912,  McKay  found  an  article  written  by Dr. J. M. Eager in 1902  reporting the unusual occurrence  of  brownish  colored  stains among majority of the residents in Naples. Eager  had  termed  these  brownish discolorations as  "denti di chiaie".